Hybridoma cell line is a product of fusion
1. B cells with mouse myeloma cells
2. T cells with mouse myeloma cella
3. B cells with Guinea pig myeloma cells
4. T cells with guinea pig myeloma cells

Correct answer: 1. B cells with mouse myeloma cells

Explanation: The B cells are mixed with mouse myeloma cells and exposed to polyethylene glycol, which causes cell fusion. The product of this fusion is a permanentcell line called a hybridoma capable of providing a continuous supply of monoclonal antibodies.Ref: Harper's biochemistry; 30th edition; Chapter 52; 52 Plasma Proteins & Immunoglobulins